Venous congestion of liver affects ?
1. Midzone
2. Perihepatic zone
3. Centrilobular zone
4. All the above

Correct answer: 3. Centrilobular zone

Explanation: Ans. is 'c' i.e., Centrilobular zoneNutmeg liver or chronic passive congestion or Congestive hepatopathy :?Chronic passive congestion is liver dysfunction due to venous congestion, usually right sided cardiac dysfunction (right sided cardiac decompenstion).When there is right sided cardiac decompensation, the blood being dammed back in the IVC and hepatic veins. o This results in increase venous pressure and passive congestion of centrilobular region and hemorrhagic necrosis of centrilobular region.The liver takes on a variegated mottled appearance, reflecting hemorrhage and necrosis in the centrilobular region, known as 'nutmeg liver'.